Muscle which has influence in the formation of buccal frenum of maxilla
1. Levator anguli oris
2. Quadratus labii superioris
3. Triangularis
4. Inferioris

Correct answer: 1. Levator anguli oris